All are natural family planning methods except :-
1. Basal body temperature
2. Cycloprovera
3. Bilings method
4. Symptothermic method

Correct answer: 2. Cycloprovera

Explanation: Natural family planning methods The term . "natural family planning" is applied to three methods: Basal body temperature (BBT) method Cervical mucus method, and Symptothermic method Cycloprovera: is a form ofcombined injectable birth control